A 50 year old lady with history of jaundice in the past has presented with right upper quadrant abdominal pain. Examination and investigations reveal chronic calculous cholecystitis. The liver functions tests are within normal limits and on ultrasound examination the common bile ducts is not dilated. Which of the following will be the procedure of choice in her?
1. Laparoscopic cholecystectomy
2. Open choledocholithotomy with CBD exploration
3. ERCP+- cholecystectomy followed by laparoscopic cholecystectomy
4. Laparoscopic cholecystectomy followed by ERCP +- choledocholithotomy

Correct answer: 1. Laparoscopic cholecystectomy

Explanation: Ans. is 'a' i.e., Laparoscopic cholecystectomy